Following is true of hormone leptin except:
1. It is found in increased levels in obese
2. Site of action is hypothalamus
3. It is produced by adipose all
4. It increases appetite

Correct answer: 4. It increases appetite

Explanation: Ans: D (It increases appetite) Ref: Pal GK, Functions of Hypothalamus, In: Textbook of Medical Physiology, Ahuja Publishing House, 118:889Explanation:LeptinProtein of 167 amino acidsManufactured primarily in the adipocytesHigh leptin level occurs in obesity - | sympathetic activity; | food intakeLow- leptin level occurs in starvation | parasympathetic activity; | food intakeActs on hypothalamus, arcuate nucleus identifies plasma leptin concentration.Regulates onset of pubertyStimulates thyroid functionControls glucocorticoid secretion